Sudden inversion of foot leads to rupture of which tendon?
1. Deltoid ligament
2. Anterior talofibular ligament
3. Posterior talofibular ligament
4. Spring ligament

Correct answer: 2. Anterior talofibular ligament

Explanation: Ans. is 'b' i.e., Anterior talofibular ligament * The lateral collateral ligament is commonly sprained, mostly so the anterior talofibular component* Structures damaged due to inversion injury.i) Peroneal tendon injury.ii) Avulsion fracture of tip of lateral malleolus.iii) Avulsion fracture of anterolateral surface of talus & calcaneum (sustentaculum tali).iv) Fracture of base of 5th metatarsal.v) Lateral collateral ligament injury (anterior talo fibular > calcaneofibular > posterior- talofibular ligament).vi) Medial malleolus fracture.